A woman has mild depression after few days of delivery & disappeared after 2 week in postpartum period. It may be due to:
1. Post-partum blue
2. Mania
3. Post-partum depression
4. Mild depression

Correct answer: 1. Post-partum blue

Explanation: Ans. (A) Post-partum blueNormally around 25-50% of all women can develop psychological symptoms in the puerperal period.Commonest type of presentation is mild depression & irritability, often known as postnatal blues.Pass off within a few days.Severe psychiatric symPtoms included depressive episode with psychotic symPtoms (most common), schizophrenia like symptoms, manic episode & delirium (least common).